Which of the following drugs acts on trabecular mesh-work and affects the aqueous outflow?
1. Timolol
2. Pilocarpine
3. Brimonidine
4. Brinzolamide

Correct answer: 2. Pilocarpine

Explanation: Ref:KD Tripathi 7th edition (page no:153,154,155) Pilocarpin increases trabecular outflow by increasing ciliary tone Timolol and Brinzolamide decreases aqueous formation Brimondine act by augmenting uveoscleral outflow